The nerve impulse which leads to initiation of smooth muscle contraction
1. Cause opening of the calcium channel which leads to increase in Ca+2 contraction
2. Cause both plasma membrane and T - tubules to undergo depolarisation
3. Inhibits Na+ entry in sarcomere
4. Is initiated by binding of acetylcholine to receptors in sarcoplasmic reticulum

Correct answer: 1. Cause opening of the calcium channel which leads to increase in Ca+2 contraction

Explanation: Ans. (a) Cause opening of the calcium channel which leads to increase in Ca2+ contraction(Ref: Ganong, 25th ed/p.116)The never impulse which leads to initiation of smooth muscle contraction Cause opening of the calcium channel which leads to increase in Ca2+ contraction